Miotics are indicated in the treatment of which type of squint ?
1. Divergent squint
2. Convergent squint
3. Paralytic squint
4. All

Correct answer: 2. Convergent squint

Explanation: Miotics (ecthiopate 0.125%) can be used for accommodative esotropia (convergent squints). Formation of iris cysts due to echothiopate can be prevented by using phenylephrine 2.5% drops.